A 60 years old man presented with itchy tense blisters on normal looking skin and urticarial rash. Investigation done for the diagnosis:
1. Direct immunofluorescence
2. Indirect immunofluorescence
3. Histopathology
4. Cytopathology

Correct answer: 1. Direct immunofluorescence

Explanation: Ans. a. Direct immunofluorescence A 60 years old man presented with itchy tense blisters on normal looking skin and urticarial rash. This patient is suffering from pemphigoid. Investigation done for the diagnosis direct immunofluorescence.